Parotid duct traverses
1. Masseter
2. Buccinator
3. Medial Pterygoid
4. Lateral Pterygoid

Correct answer: 2. Buccinator